The amount of body water in human body is
1. 70%
2. 60%
3. 50%
4. 40%

Correct answer: 2. 60%

Explanation: 60% of the body contains water Ref: guyton and hall textbook of medical physiology 12 edition page number:45,46,47